Most crucial part of tuberculosis control programme is -
1. Contact tracing
2. BCG vaccination
3. Treatment of sputum positive cases
4. Treatment of X-ray positive cases

Correct answer: 3. Treatment of sputum positive cases

Explanation: The most powerful weapon in tuberculosis control is → case finding and lit.
Cases are defined by WHO as a patient whose sputum is positive for tubercle bacilli.